A 45 year old male, Sonu presented to OPD with severe pain in the knee and shoulder joint. On examination and further investigations, a diagnosis of rheumatoid arthritis was made and the patient was started on methotrexate 15mg weekly. However, even after 6 months of using methotrexate, recurrent episodes of arthritis continued. The physician wanted to add another DMARD that inhibit the pyrimidine synthesis by inhibiting dihydroorotate dehydrogenase enzyme. Which of the following drug, physician is thinking about?
1. Sulfasalazine
2. Infliximab
3. Leflunomide
4. Abatacept

Correct answer: 3. Leflunomide

Explanation: Leflunomide is a dihydroorotate dehydrogenase inhibitor. It is one of the disease modifying agent used in rheumatoid arthritis.